Protamine antagonism for heparin is?
1. Competitive
2. Chemical
3. Toxic
4. Noncompetitive

Correct answer: 2. Chemical

Explanation: Chemical REF: Foye's principles of medicinal chemistry By William 0. Foye, Thomas L. Lemke, David A. Williams page 846, Pharmacology: Prep Manual for Undergraduates by Shanbhag page 277 "Protamine sulfate is a specific heparin antagonist I mg of which neutralizes approximately 100 mg of heparin by chemical antagonism" "Protamine, a strongly basic low molecular weight protein that is positively charged at physiological pH, is a specific antagonist of heparin" "Protamine is an arginine rich highly basic group of simple proteins derived from salmon sperm. The highly acidic heparin polysaccharide exhibits there anticoagulant activity through binding to anti-thrombin III. Because of basicity of protamine, heparin has increased affinity for protamine relative to anti-thrombin III as much as it can induce dissociation of heparin anti-thrombin III complex" Protamine (strong base) + Heparin (strong acid) Neutralization